'Duret hemorrhages' are seen in:
1. Brain
2. Kidney
3. Heart
4. Lung

Correct answer: 1. Brain

Explanation: Ans. (a) Brain* Due to increased ICP - there will be downward herniation of brain stem which causes stretching of the Basilar artery and results in Duret hemorrhage.* Duret hemorrhage is a small area of bleeding in Upper brain stem (Midbrain and Pons)* Fatal outcome.